Angiotensin II causes all of the following except
1. Stimulation of thirst
2. Aldosterone secretion
3. Increased ADH secretion
4. Vasodilatation

Correct answer: 4. Vasodilatation

Explanation: Angiotensin II--previously called hypertension or Rangitoto- nin--produces arteriolar constriction and a rise in systolic and diastolic blood pressure Consequently, there is less response to injected angiotensin II. Angiotensin II also acts directly on the adrenal cortex to increase the secretion of aldosterone, and the renin-angiotensin system is a major regulator of aldosterone secretion Angiotensin II also acts on the brain to decrease the sensitivity of the baroreflex, and this potentiates the pressor effect of angiotensin II. In addition, it acts on the brain to increase water intake and increase the secretion of vasopressin and ACTH. Ref: Ganong's Review of Medical Physiology, 23rd edition, page no: 672